Which of the following hepatitis virus have significant perinatal transmission?
1. HEV
2. HCV
3. HBV
4. HAV

Correct answer: 3. HBV